Lower angle of scapula corresponds to which vertebral level:
1. D5
2. D7
3. D9
4. D12

Correct answer: 2. D7

Explanation: Vertebral level of the lower angle of scapula is D7Other interesting facts related to scapulaWinging of scapula: Injury to the thoracic nerve (of Bell). Prominence of medial border of scapula particularly on pushing against the wallFracture of scapula: Rare, may be seen in violent traumaSprengels shoulder: Scapula remains elevated, there is failure of descentKlippel-Feil deformity: Bilateral failure of descent of scapula. Webbing of neck and limitation of neck movements due to failure of fusion of occipital bone and cervical spine defects is a feature